A man presents with fever and chills 2 weeks after a louse bite. There was a maculo-papular rash on the trunk, which spread peripherally. The cause of this infection can be:-
1. Scrub typhus
2. Endemic typhus
3. Rickettsial pox
4. Epidemic typhus

Correct answer: 4. Epidemic typhus

Explanation: Epidemic typhus is transmitted by louse. Scrub typhus and Rickettsial pox are transmitted by mites Endemic typhus is transmitted by rat flea.